The following is an activator of LCAT
1. Apo AI
2. Apo E
3. Apo B 48
4. Apo B 100

Correct answer: 1. Apo AI